Treatment for malignant melanoma is
1. Wide excision
2. Radiotherapy
3. Excision
4. Chemotherapy

Correct answer: 1. Wide excision

Explanation: Treatment of Malignant melanoma Surgical excision with sentinel LN biopsy (Margin : 1 cm for <1 mm thickness, 2cm for 1-4 mm thickness, 2-3 cm for >4 mm thickness LN dissection if LN is palpable or positive on sentinel LN biopsy MM is radioresistant tumor ; Chemotherapy : IFN-alpha 2b Clark's levels (on the basis of depth of invasion) : EPIRS I Melanoma restricting to epidermis and appendages II Invading papillary dermis without filling it III Reach interface of papillary and reticular dermis IV Invading reticular dermis V Invading subcutaneous tissue MM is subclassified into 5 Clark levels, to indicate their depth of invasion and prognosis Breslow's depth of invasion : Actual measurement of deepest invasion from granular layer Breslow's Thickness Stage I <0.75 mm Stage II 0.75-1.5 mm Stage III 1.6-4.0 mm Stage IV >4.0 mm Ref: Sabiston 20th edition Pgno : 729